Heparin is a:
1. Glycosamino glycan
2. Polysaccharide
3. Proteoglycan
4. Carbohydrate

Correct answer: 1. Glycosamino glycan

Explanation: Ans. A. Glycosamino Glycan(Ref: Harper 31/e page 605)Heparin is a Glycosamino Glycan.Glycosamino Glycans are heteropolysacchrides.Disaccharide repeat unit is Glucosamine and Iduronic acid.Initially uronic acid present is Glucuronic acid, 5 epimerase convert 90% of GlcUA to IdUA.Heparin is found in the granules of mast cells, also in lung, liver and skin. Heparin specifically bind to lipoprotein lipase present in capillary walls and cause its release into circulation.Heparin is an anticoagulant.